Drug of choice in Acute migraine is
1. Ergotamine
2. Sumatriptan
3. Dihydroergotamine
4. Propranol

Correct answer: 2. Sumatriptan

Explanation: (Sumatriptan) (170-17l-KDT6th) (523-LP 3rd)Triptans (Sumatriptan, naratriptan, eletriptan, almotriptan, zolmitriptan)* "Triptans rapidly and effectively abort or markedly reduce the severity of migraine headaches in about 80% of patients"* Sumatriptan is an effective and better tolerated than ergotamine* Somatriptan is the first selective 5HT 1B/1D receptor agonist"Propranol is drug of choice for prophylaxis in migraine"